Which of the following drugs has caused hyperkalemia leading to cardiac arrest in patients with neurological disorders?
1. Baclofen
2. Dantrolene
3. Succinylcholine
4. Tubocurarine

Correct answer: 3. Succinylcholine